Formen of Magendie is the central opening of?
1. Lateral ventricle
2. 4th ventricle
3. 3rd ventricle
4. None

Correct answer: 2. 4th ventricle

Explanation: Ans. is 'b' i.e., 4th ventricle